In a CT scan at the level of celiac trunk, following structures will be seen – a) Pancreasb) Gall bladderc) Inferior vena cavad) Duodenume) Portal vein
1. ace
2. bde
3. cde
4. ade

Correct answer: 1. ace

Explanation: The celiac trunk is midline vessel arising from the anterior aspect of the abdominal aorta at the level of junction of T1, & L1 vertebrae. A horizontal section at this level will show the following structures :- Left supra renal gland, Left kidney, Lesser sac, Diaphragm, Aorta, Ligamentum teres, Liver, Inferior vena cava, Pancreas body, Porta hepatis, Spleen, Stomach body.